Severity of disease is assessed by:
1. Secondary attack rate
2. Case fatality rate
3. Prevalence rate
4. Incidence rate

Correct answer: 2. Case fatality rate

Explanation: Ans. is 'b' i.e. Case fatality rate Case fatality rate represents the killing power of the disease. It is closely related to virulence of the disease.